Deep branch of ulnar nerve supplies all except ?
1. Adductor pollicis
2. Abductor digiti minimi
3. Flexor digiti minimi
4. Opponens pollicis

Correct answer: 4. Opponens pollicis

Explanation: Various branches of ulnar nerve are :? A) In arm : No branch. B) In forearm : There are following branches :? 1) Muscular : In proximal part of forearm it supplies flexor carpi ulnaris and medial half of flexor digitorum profundus. 2) Cutaneous : There are two cutaneous branches in forearm:- i) Palmar cutaneous branch : Supplies skin over the hypothenar eminence. ii) Dorsal (posterior) cutaneous branch : Supplies skin over medial 1/3 of dorsum of hand and dorsal surface of medial 11/2 fingers. C) In hand : Ulnar nerve enters the palm by passing superficial to flexor retunuculum and divides into two terminal branches :? 1) Superficial terminal branch : It supplies palmaris brevis and skin of palmar surface of medial 11/2 fingers. 2) Deep terminal branch : It supplies adductor pollicis, all interossei, medial two (3"1 & 4th)lumbricals and all hypothenar muscles except palmaris brevis (i.e. abductor digiti minimi, flexor digiti minimi, opponens digiti minimi).